Disulfiram like interaction with alcohol is seen with all of the following drugs except :
1. Metronidazole
2. Cefoperazone
3. Griseofulvin
4. Satranidazole

Correct answer: 4. Satranidazole